Premature fusion of coronal, sphenofrontal and ethmoidal sutures seen in
1. Turricephaly
2. Dolichocephaly
3. Plagiocephaly
4. Trigoncephaly

Correct answer: 1. Turricephaly

Explanation: Turricephaly : Cone shaped head caused by premature fusion of coronal sphenofrontal and frontoethmoidal sutures. Dolichocephaly: Due to premature closure of sagittal suture , produces a long and narrow skull, Also called scaphocephaly Plagiocephaly: Asymmetrical distortion or flattening of one side of the skull. Trigoncephaly: Caused by premature fusion of metopic suture; Keel shaped forehead, and hypotelorism, increased risk for associated developmental abnormalities of the forebrain. Ref: Nelson's 20th edition, page- 71-72.